Inverted saucer shaped lesion is found in
1. Lepromatous leprosy
2. Tuberculoid leprosy
3. Borderline leprosy
4. Indeterminate leprosy

Correct answer: 3. Borderline leprosy

Explanation: C i.e. Border line leprosy